A boy undergoes eye surgery under day care anesthesia with succinyl choline and propofol and after 8 hours he starts walking and develops muscle pain. What is the cause?
1. Early mobilization
2. Due to the effects of eye surgery
3. Succinyl choline
4. Propofol

Correct answer: 3. Succinyl choline

Explanation: This is most probably postoperative myalgia associated with succinyl choline. Myalgia: Postoperative skeletal muscle pain, which is particularly prominent in the skeletal muscles of the neck, side and abdomen can occur. Most possible cause unsynchronized contraction of skeletal muscle (fasciculation).